Maternal near miss refers to:
1. Teenager becoming pregnant
2. Contraceptive failure in a teenager
3. A woman presenting with life threatening condition but has survived
4. A woman presenting with life threatening condition who has died

Correct answer: 3. A woman presenting with life threatening condition but has survived

Explanation: Ans. is c, i.e. A woman presenting with life-threatening conditions but has survived.Ref. Master Pass in Obs/Gynae Konar, p 341A woman presenting with any life-threatening condition and survived, is considered as a Maternal Near Miss case. Maternal Near Miss is a retrospective event. From the definition point of view, woman can only be recognized as a maternal near miss, when she survives the server complications in pregnancy, labour or postpartum six weeks.